Buruli ulcer is caused by?
1. M. marinum
2. M. ulcerans
3. M. avium intercellulare
4. M. tuberculosis

Correct answer: 2. M. ulcerans

Explanation: Buruli ulcer is caused by Mycobacterium ulcerans. Ulcers may be very deep and involve muscle and bone. Skin test with burulin gives positive response.